Gartners duct cyst lies in
1. Lateral aspect of uterine wall
2. Upper edge of broad ligament
3. Anterolateral wall of vagina
4. Posterior to ovarian ligament

Correct answer: 3. Anterolateral wall of vagina

Explanation: Gartners duct cyst lies in anterolateral wall of vagina.